Difference between typical cervical & thoracic vertebral
1. Has a triangular body
2. Has a foramen transversarium
3. Superior articular facet directed backwards & upwards
4. Has a large vertebral body

Correct answer: 2. Has a foramen transversarium

Explanation: B i.e., Has a foramen transversorium